For termination of pregnancy, consent is needed from
1. Only woman
2. Only husband
3. Both partners
4. Consent not needed

Correct answer: 1. Only woman

Explanation: Pregnancy can only be terminated on the written consent of the woman. Husband's consent is not requiredPregnancy in a minor girl (below the age of 18 years) or lunatic cannot be terminated without written consent of the parents or legal guardianReference: Textbook of Obstetrics; Sheila Balakrishnan